Tzank smear in varicella-zoster shows ?
1. Acantholysis
2. Spongiosis
3. Multinucleated Giant cell
4. Necrotic cell

Correct answer: 3. Multinucleated Giant cell

Explanation: Ans. is 'c' i.e., Multinucleated Giant cell